Which structures passes along with esophagus through esophageal opening of diaphragm ?
1. NC
2. Gastric nerves
3. Aorta
4. Thoracic duct

Correct answer: 2. Gastric nerves

Explanation: Gastric nerves